Best way to treat street wounds:
1. Immediate suturing
2. Cleaning with saline and debridement
3. Oral antibiotics
4. Leave it alone

Correct answer: 2. Cleaning with saline and debridement

Explanation: Ans: bRef: Harrison, 16thed, p. 848